Ribs are derived from:
1. Lateral plate mesoderm
2. Para-axial Mesoderm
3. Intermediate mesoderm
4. All of these

Correct answer: 2. Para-axial Mesoderm

Explanation: Ans. B. Para-axial MesodermThe paraxial mesoderm undergoes segmentation to form somatomeres and somites. Each somite is triangular in shape with a small slit like cavity in its center. Each somite is divided into three parts: medial, middle, and laterala. The medial part is called sclerotome, which forms vertebrae and ribs.b. The middle part is called myotome, which forms skeletal muscles.c. The lateral part is called dermatome, which forms the dermis of the skin.